Which of the following thalamic nuclei does not project neocortex?
1. Intralaminar nuclei
2. Reticular nuclei
3. Pulvinar nuclei
4. Anterior thalamic nuclei

Correct answer: 2. Reticular nuclei

Explanation: It has been suggested that the reticular nucleus receives afferent input from the reticular formation and in turn projects to the other thalamic nuclei, regulating the flow of information through these to the cortex. This is the only thalamic nucleus that does not project to the cerebral cortex, instead it modulates the information from other nuclei in the thalamus. ref - vishram singh neuroanatomy 2e pg225